17 year old girl with mild von Willebrand Disease comes for Dental extraction. There is previous history of bleeding during previous surgery. What can be given in prophylaxis to avoid bleed
1. Cryoprecipitate
2. FFP
3. Desmopressin
4. High purity factor VIII concentrates

Correct answer: 3. Desmopressin

Explanation: . Desmopressin